A hemodynamically stable patient with blunt abdominal trauma, the best investigation is ?
1. CECT abdomen
2. MRI abdomen
3. DPL
4. FAST

Correct answer: 1. CECT abdomen

Explanation: CT Scan of Abdomen: It is most commonly used and better investigation for abdominal trauma. It is useful in blunt/penetrating trauma, suspected pancreas, spleen, liver, duodenal, retroperitoneal injuries. Smaller injuries, early haemoperitoneum are better detected. It is noninvasive, highly specifi c, highly accurate (96%), with low false-positive/low false-negative, noninvasive. Diagnostic Peritoneal Lavage (DPL) (by Perry) It is useful in blunt injury abdomen. It is not very useful in penetrating injury, bowel injury, retroperitoneal and pelvic injuries. Focused abdominal sonar trauma (FAST): It is rapid, noninvasive, portable bedside method of investigation focusing on pericardium, splenic, hepatic and pelvic areas. It is not reliable for bowel or penetrating injuries. It often needs to be repeated. SRB's Manual of Surgery, 4th Edition, pg. no. 150